Ambivalence is most commonly seen in
1. Schizophrenia
2. Hysteria
3. Mania
4. Obsessive compulsive disorder

Correct answer: 1. Schizophrenia

Explanation: SCHIZOPHRENIA:- Eugen Bleuler coined the term "Schizophrenia. which replaced dementia praecox in scientific literature. Bleuler proposed four symptoms which he called as fundamental (or primary) symptoms of schizophrenia. These symptoms are also known as 4 A's of Bleuler. They include: A. Autistic thinking and behavior (Autism): Excessive fantasy thinking which is irrational and withdrawn behavior. B. Ambivalence: Marked inability to take decisions. C. Affect disturbances: Disturbances of emotions such as inappropriate affect. D. Association disturbances: Disturbances of association of thoughts such as formal thought disorders. Ref:- Psychiatry by Sandeep Govil, pg num:- 80